Food poisoning with incubation period less than 6 hours is due to -
1. V. Cholerae
2. Bacillus cereus
3. Clostridium prefringens
4. Salmonella

Correct answer: 2. Bacillus cereus

Explanation: Bacillus cereus produces at least 2 distinct enterotoxins, causing two distinct form of food poisoning. Emetic form : incubation period - 1-6 hrs Diarrhoeal form: incubation period - 12-24 hrs V.chloerae - incubation period - commonly 1-2 days Clostridium perfringens -incubation period - 6-24 hrs Salmonella - incubation period - 12-24 hrs Ref: PARK'S TEXTBOOK OF PREVENTIVE AND SOCIAL MEDICINE 23rd edition , Page 239